The finnish type of congenital nephritic syndrome occurs due to gene mutation affecting the following protein -
1. Podocin
2. Alpha-actinin
3. Nephrin
4. CD2 activated protein

Correct answer: 3. Nephrin

Explanation: Ans. is 'c' i.e., Nephrin Congenital nephrotic syndrome o Infant who develop nephrotic syndrome within the first 3 months of life are considered to have congenital nephrotic syndrome. o The most common cause of this syndrome is finnish-type congenital nephrotic syndrome, an autosomal recessive disorder. o Two most common genes involved are - i) NPHS1--> Coding for nephrin and results in finnish-type nephrotic syndrome. ii) NPHS2 --> Coding for Podocin and results in FSGS.